True about foremilk & hind milk?
1. Foremilk has fat
2. Hind milk relieve hunger
3. Fore milk relieve hunger
4. Hind milk is rich in protein

Correct answer: 2. Hind milk relieve hunger

Explanation: Ans. is 'b' i.e., Hind milk relive hunger